Side effects of erythropoietin -
1. Hypertension
2. Increased ferritin
3. Thrombocytosis
4. ↓ PO4

Correct answer: 1. Hypertension